Paclitaxal acts on which phase of cell cycle
1. G1
2. S
3. G2
4. M

Correct answer: 4. M

Explanation: Ans. is'd'i.e., MPaclitaxel is M phase specific inhibition.